Endometrium during proliferative phase appears as all except
1. Echogenic stratum basale
2. Trilaminar
3. Maximum thickness
4. Hypoechoic stratum functionate

Correct answer: 3. Maximum thickness

Explanation: Endometrium achieves its maximum thickness during secretory phase.